Fastest method for diagnosis of TB ?
1. Gene expert
2. LI medium
3. TB MGIT
4. BAC IEC

Correct answer: 1. Gene expert

Explanation: Ans. is 'a' i.e., Gene expert